A young patient presented with HTN and VMA 14 mg/24, the causes is/are -a) Medullary carcinoma thyroidb) Von Hippel Lindau syndromec) Graves diseased) Pseudohypoparathyroidisme) Sturge weber syndrome
1. abc
2. bcd
3. cde
4. abe

Correct answer: 4. abe

Explanation: Familial syndrome associated with pheochromocytomas are :

MEN type II A
MEN type II B
Von Hippel- Lindau disease
Von Reclinghausen's neurofibromatosis
Sturge weber syndrome

Diagnosis of Pheochromocytoma :

Pheochromocytomas secrete abnormally large amount of catecholamines which are responsible for characteristic clinical manifestation of pheochromocytomas.
The diagnosis is established by demonstration of increased production of catecholamines or catecholamine metabolites.
The diagnosis is made by analysis of single 24 hours urine sample.

Biochemical and Imaging Methods Used for Pheochromocvtoma and Paraganglioma Diagnosis